In subclavian steal syndrome there is reversal of blood flow in:
1. Ipsilateral vertebral artery
2. Contralateral vertebral artery
3. Ipsilateral subclavian artery
4. Contralateral subclavian artery

Correct answer: 1. Ipsilateral vertebral artery

Explanation: In subclavian steal syndrome there is retrograde flow in the vertebral artery due to an ipsilateral subclavian artery block proximal to vertebral artery origin. The block results in lower pressure in the distal subclavian artery and upper limb ischemia. Consequently, blood flows from the contralateral vertebral artery to the basilar artery and then in a retrograde direction down the ipsilateral vertebral artery away from the brainstem.